A case of giardiasis presents with -
1. Nausea and vomiting
2. Abdominal pain
3. Steatorrhea and flatulence
4. All of the above

Correct answer: 4. All of the above

Explanation: It may cause a disturbance in the intestinal function,leading to malabsorption of fat . The patient may complain of persistent looseness of bowels and mild steatorrhoea.The patient may present as silent case without any symptom as chronic enteritis and acute enterocolitis or as chronic cholecystopathy.Sometimes only general features such as fever, anaemia and allergic manifestation are present (refer pgno:32 baveja 3 rd edition)